The only excitatory neurons in cerebellar cortex are?
1. Purkinje
2. Basket
3. Golgi
4. Granule cells

Correct answer: 4. Granule cells

Explanation: Ans. is'd'i.e., Granule cells [Ref BDC Vol. 3 p 92)Purkinje cells are the only output cells from cerebellar cortex.Purkinje cells send inhibitory efferents to deep cerebellar nuclei.Basket cells inhibit body of purkinje cells while stellate cells inhibit dendrites of purkinje cells.Granule cells send facilitatory efferents to basket, stellate and purkinje cells through parallel fibers.Climbing fibers and parallel fibers stimulate purkinje cells.